The central cellular players in the repair process are?
1. Platelets
2. Macrophages
3. Neutrophils
4. Fibroblasts

Correct answer: 2. Macrophages

Explanation: Inflammatory cells eliminate the offending agents, such as microbes that may have entered through the wound, and clear the debris. Macrophages are the central cellular players in the repair process—M1 macrophages clear microbes and necrotic tissue and promote inflammation in a positive feedback loop, and M2 macrophages produce growth factors that stimulate the  proliferation of many cell types in the next stage of repair. As the injurious agents and necrotic cells are cleared, the inflammation resolves.
 Macrophages are critical for orchestrating the repair process, by eliminating  offending  agents  and  producing  cytokines  and growth factors that stimulate the proliferation of the cell types involved in repair.
Robin’s Textbook of pathology 10th ed  Page 89